Which of the following is difficult to visualise on Indirect laryngscopy
1. True vocal cord
2. Anterior commissure
3. Epiglottis
4. False vocal cord

Correct answer: 2. Anterior commissure

Explanation: On indirect laryngoscope,structures not visible are 

Infrahyoid epiglottis
Ventricle
Anterior commissure
Subglottis